Motor cycle fracture is otherwise called
1. Bumper fracture
2. Hinge fracture
3. Gutter fracture
4. Sutural fracture

Correct answer: 2. Hinge fracture

Explanation: Transverse fracture of the base of skull - hinge fracture is common where the base of skull is divided into two halves, sometimes referred to as motor cyclist's fracture. ref: FORENSIC MEDICINE AND TOXICOLOGY Dr PC IGNATIUS THIRD EDITION PAGE 191